A person was bitten by an infected louse and developed a disease. What is the probable diagnosis
1. Scrub tyohus
2. Epidemic typhus
3. Endemic typhus
4. Indian tick typhus

Correct answer: 2. Epidemic typhus

Explanation: louseborn typhus is epidemic typhus caused by R.prowazekii whose distribution is worldwide,pediculis humanus corporis(human body louse) act as vector, incubation period is 5_15 days,disease starts with fever and chills, a characteristic rash appears on 4th or 5th day starts on trunk spreads over limbs except face,palm,soles..2nd week:patient become delirious and stuporous.recrudescent typhus(Brill zinsser disease)is by reactivation leading to recrudescence of epidemic typhus Ref:anantnarayan and paniker's microbiology 10th edition